Mercury affects which part of the kidney
1. >PCT
2. DCT
3. >Collecting duct
4. >Loop of Henle

Correct answer: 1. >PCT

Explanation: PCT Pattern in Acute tubular necrosis Ischemic type Tubular necrosis is patchy, relatively short lengths of tubules are affected Straight seg. of proximal tubules and ascending limb of Henle's loop are most vulnerable Toxic necrosis Mercury PCT is mainly involved Lead Entire tubule is damaged